Type C personality disorder -
1. Avoidant personality disorder
2. Histronic personality disorder
3. Paranoid personality disorder
4. Narcissistic personality disorder

Correct answer: 1. Avoidant personality disorder